Buffering action of haemoglobin is mainly due to
1. heme
2. Porphyrin
3. Imidazole group of histidine
4. Histidine group of imidazole

Correct answer: 3. Imidazole group of histidine

Explanation: The buffering action of hemoglobin is due to the imidazole group of the hystadine residues. Hemoglobin molecule contains 38 histidine. imidazole group of deoxyhemoglobin dissociate less than those of oxyhaemoglobin. Ref: Page no 566 Textbook of physiology Volume 1 AK Jain 7th edition